Which of the following is most common type of congential cardiac cyanotic anamoly?
1. Tetralogy of Fallot
2. TAPVC
3. Transposition of great vessels
4. Ebstein's Anamoly

Correct answer: 1. Tetralogy of Fallot

Explanation: Ans. is 'a' i.e., Tetralogy of Fallot o TOF is the commonest cyanotic congenital heart disease.